Stress fractures are diagnosed by:
1. X-ray
2. CT
3. MRI
4. Bone scan

Correct answer: 3. MRI

Explanation: (c)Investigation of choice for unilateral stress fracture is MRI and for bilateral is Bone Scan, when it is not mentioned unilateral or bilateral, MRI is preferred answer.